Immediately after kidney donation what happens to the creatinine level in the donors
1. Remains Same
2. Increases
3. Decreases
4. Level in independent of the donation

Correct answer: 2. Increases

Explanation: Answer- B. IncreasesAfter kidney donation both the serum creatinine and creatinine clearance increase.